What is color of medical oxygen cylinder?
1. Black body with grey shoulder
2. Grey body with black and white shoulder
3. Black body w ith white shoulder
4. Grey body with black shoulder

Correct answer: 3. Black body w ith white shoulder

Explanation: Ans. c. Black body with white shoulder (Ref: Anaesthetic Equipments & Procedures, Practical Approach/P37, 38) The color of a medical oxygen cylinder is a black body with a white shoulder.Color Identification of Medical Gas CylindersName of gasBodyShoulderPin indexAirGreyQWhite & black quarterQ1,5QCarbon dioxide (Cone. >7.5%)GreyQGreyQ1, 6QOxygenBlackWhiteQ2, 5QCarbon dioxide (Cone. <7.5%)GreyQGreyQ2, 6QNitrous oxideBlueQBlueQ3, 5QCyclopropaneOrangeQOrangeQ3, 6QEntonox (50% O2 + N2O)BlueQBlue & white quarterQ7QHeliumBrownQBrownQ-Mix of oxygen & helium (He <80.5%)BrownQWhiteQ2, 4QMix of oxygen & helium (He >80.5%)BrownQWhiteQ4, 6QNitrogenBlackQBlackQ1,4Q